A 25 year old man is participating in a clinical study to determine the cardiovascular response to physical exercise. Basal measurements are Respiratory rate:15,Blood pressure: 120/80,Cardiac output: 5L,Heart rate:50/min.What is his stroke volume during resting conditions (in mL/min)?
1. 50
2. 75
3. 100
4. 125

Correct answer: 3. 100

Explanation: The cardiac output (CO) is equal to the volume of blood ejected from the heart during each systole (i.e., the stroke volume; SV) multiplied by the number of times the heart beats each minute (heart rate; HR). In other words, CO = SV x HR. Therefore, SV = CO/HR, and since CO = 5000 mL/min, and HR = 50/min, SV = 5000/50 = 100 mL. Ref: Mohrman D.E., Heller L.J. (2010). Chapter 1. Overview of the Cardiovascular System. In D.E. Mohrman, L.J. Heller (Eds), Cardiovascular Physiology, 7e.